Drepanocytes are seen in
1. Megaloblastic anemia
2. Severe Iron deficiency
3. Sickle cell anemia
4. All of the above

Correct answer: 3. Sickle cell anemia

Explanation: Sickle cells, also called Drepanocytes are seen in sickle cell anemia.